Aspirin is given in management of which cancer:
1. Pancreatic cancer
2. Liver cancer
3. Colon cancer
4. Stomach cancer

Correct answer: 3. Colon cancer

Explanation: Ans. C. Colon cancerAspirin has been shown to reduce the risk of colorectal cancer in latest studies in JAMA in September 2013. How it works is a matter of research but has shown a reduction in mortality.